Ovarian tumor limited to true pelvis with Negative nodes histological confirmed seeding of abdominal poioned surface. The exact grading :
1. III A
2. III B
3. III C
4. IV

Correct answer: 1. III A

Explanation: III A